Farmer's lung result from exposure to
1. Aspergillus
2. Thermophilic actinomycetes
3. Cotton dust
4. Silica

Correct answer: 2. Thermophilic actinomycetes

Explanation: (B) Thermophilic actinomycetes # FARMER'S LUNG is due to the inhalation of mouldy hay or grain dust. In grain dust or hay with a moisture content of over 30 per cent bacteria and fungi grow rapidly, causing a rise of temperature to 40 to 50deg C.This heat encourages the growth of thermophilic actinomycetes, of which Micropolyspora faerti is the main cause of farmer's lung.# OTHER FORMS OF PNEUMOCONIOSIS: Coalworker's pneumoconiosis (also known as miner's lung, black lung or anthracosis) -- coal, carbon Asbestosis -- asbestos Silicosis (also known as "grinder's disease" or Potter's rot, or when related to silica inhaled from the ash of an erupting volcano, Pneu-mono ultramicroscopic silico-volcanoconiosis) -- crystalline silica dust Bauxite fibrosis -- Bauxite Berylliosis--Beryllium Siderosis--Iron Byssinosis -- Cotton Silicosiderosis -- mixed dust containing silica and iron Labrador lung (found in miners in Labrador, Canada) -- mixed dust containing iron, silica and anthophyllite, a type of asbestos Stannosis -- Tin oxide